Most common cause of death in Electrocution is-
1. Respiratory muscle paralysis
2. Ventricular fibrillation
3. Asphyxia
4. Regurgitation of fluids

Correct answer: 2. Ventricular fibrillation

Explanation: Ventricular fibrillation is the usual cause of death in electrocution.